Which is not a sign of raised ICP?
1. Blurring of disc margins
2. Positive Kernig Sign
3. Ipsilateral pupil dilatation
4. Ipsilateral hemiplegia

Correct answer: 2. Positive Kernig Sign

Explanation: Positive Kernig sign is a feature of meningeal irritation and not raised ICP. Ipsilateral hemiplegia occurs due to Kernohan Woltman sign seen in uncal herniation. Ipsilateral pupil dilatation: The pupil of the same side of CNS bleed dilates and shows a sluggish reaction to light. It is seen in uncal herniation and is called Hutchinson's pupil. Blurring of disc margins is an early finding in papilledema